Mucosal invasion of intestine causes which type of diarrhea
1. Watery diarrhea
2. Rice stool
3. Dysentery
4. None

Correct answer: 3. Dysentery

Explanation: AMOEBIC DYSENTERY. Causative agent: Entamoeba histolytica. Site of action: large intestine. Mode of transmission: Ingestion of cyst form of the parasite. Mechanism: The cyst wall is dissolved in the small intestine from where the liberated amoebae pass into the large intestine. they invade the epithelium of the mucosa, reach the submucosa and produce the characteristic flask-shaped ulcers. TEXT BOOK OF HARSH MOHAN SIXTH EDITION PAGE.572 IMAGE REF: